Okuda staging contains all except
1. Bilirubin
2. Tumor size
3. Ascites
4. AFP

Correct answer: 4. AFP

Explanation: Okuda staging Clinical parameter Cutoff value points Serum bilirubin <3 >3 0 1 Serun Albumin >3 <3 0 1 Tumor size <50% >50% 0 1 Ascites Absent Present 0 1 Stage I= 01; Stage II = 1-2 points ; Stage III = 3-4 points :